All changes occur in fibroid uterus except:
1. Atrophy
2. Squamous metaplasia
3. Hyaline degeneration
4. Calcification

Correct answer: 2. Squamous metaplasia

Explanation: Ans. is b, i.e. Squamous metaplasiaFibromyoma can have following complications and degenerative changes:ComplicationsChanges/Degenerations* TorsionQ* HemorrhageQ* InfectionQ* Ascites; pseudo-Meig's syndromeQ(Produced by pedunculatedQ subserous fibroid)Q* Malignant changeQ (rarest)* Avoid= Atrophy* Red= Red degeneration* Hot= Hyaline degeneration (MC)* Fatty= Fatty degeneration or calcification* Meat= Myxomatous degeneration* Of chicken= Cystic degeneration(Mnemonic: Avoid Red hot fatty meat of chicken)